ADAMTS 13 is associated with:
1. TTP
2. Churg Strauss
3. Wegener
4. Membranous nephropathy

Correct answer: 1. TTP

Explanation: Ans. a. TTPThrombotic thrombocytopenic purpura (TTP) is a rare disorder of hemostasis in which there is widespread intravascular formation of fibrin-platelet thrombi.It is sometimes associated with an acquired or inherited deficiency of the enzyme ADAMTS 13, responsible for cleaving large multimers of von Willebrand factor.Clinically, TTP most often affects adult women.The inclusion criteria are microangiopathic hemolytic anemia and thrombocytopenia, with or without renal failure or neurologic abnormalities.Pathology includes widespread formation of platelet thrombi with fibrin (hyaline thrombi) leading to intravascular hemolysis (thrombotic microangiopathy).